Which of the following is used in acute exacerbation of multiple sclerosis?
1. Methylprednisolone
2. Fingolimod
3. Beta interferon
4. Natalizumab

Correct answer: 1. Methylprednisolone

Explanation: For acute attack of M.S = IV methyl prednisolone Glucocorticoids are used to manage first attacks or acute exacerbations of multiple sclerosis, usually present as optic neuritis.